True about primary pulmonary hypoventilation is:
1. Does not respond to chemical stimuli
2. Hypocapnoea and normal PaO2
3. Common in children
4. Respiratory alkalosis is diagnostic

Correct answer: 1. Does not respond to chemical stimuli

Explanation: Answer is A (Does not respond to chemical stimuli): Ventilatory responses to chemical stimuli are reduced or absent- Harrison 161/1/1570 Primary pulmonary hypoventilation Characterized by: Impaired chemoreception resulting in decreased ventilatory drive. Chronic hypercapnia and hypoxemia in the absence of identifiable neuromuscular disease or mechanical ventilatory impairment. Presentation : Occurs in all age groups but majority of cases have been reported in males aged 20-50 years. Early: lethargy, fagtigue, daytime somnolence, disturbed sleep and morning headache. Late: Cyanosis polycythemia, pulmonary hypertension, congestive heart failure. Note : Dyspnea is uncommon despite severe arterial blood gas derangements because of impaired chemotherapy. Diagnosis : The key diagnostic feature is respiratory acidosis in the absence of respiratory muscle weaknesses or impaired ventilatory mechanics.